Which of the following attains adult size before birth?
1. Ear ossicles
2. Maxilla
3. Mastoid process
4. Parietal bone

Correct answer: 1. Ear ossicles

Explanation: The ossicles of the middle ear fully ossify in the fourth month of intrauterine lifeThey are the first bones in body to do soRef: Inderbir Singh's Human embryology; Tenth edition; Pg 368